Line from midinguinal point to adductor tubercle represent
1. Inferior epigastric artery
2. Femoral artery
3. Superior epigastric artery
4. Saphenous vein

Correct answer: 2. Femoral artery

Explanation: Femoral artery surface marking:- Upper two third of the line joining midinguinal point and adductor tubercle. Mid inguinal point: a point midway between the anterior superior iliac spine and pubic symphysis. Adductor tubercle: lies at lower end of the cord like tendon of adductor magnus. The tendon can be felt in a groove just behind the prominence of vastus medialis when the thigh is semiflexed, abducted and laterally rotated. Upper 1/3 rd of line-upper half of line lying in femoral triangle. Middle 1/3 rd- lower half of artery lying in adductor canal. Lower 1/3 rd- descending genicular and saphenous branches of the artery. {Reference: BDC 6E pg no. 165}